At birth, which of the following structures is nearest to the size it will eventually attain in adulthood?
1. Cranium
2. Mandible
3. Middle Face
4. Nasal capsule

Correct answer: 1. Cranium

Explanation: Timing of Cranial Base Growth: